Renal threshold for glycosuria
1. 100 mg/dl
2. 180 mg/dl
3. 300 mg/dl
4. 350 mg/dl

Correct answer: 2. 180 mg/dl

Explanation: For glucose, the renal threshold is 180 mg/dl and Tm is 375 mg/min. In other words, glucose starts to appear in urine when blood level is more than 180 mg/dl, and all the glucose molecules above 375 mg are excreted in the urine. abnormal conditions, the renal threshold may be lowered so that even at lower blood levels, compounds are excreted in urine, e.g. renal glycosuria (glucose); and renal tubular acidosis (bicarbonate).Ref: DM Vasudevan, 7th edition, page no: 316